Which of the following is true about factor V leiden mutation?
1. Increased bleeding tendency
2. Factor V becomes resistant to cleavage by protein C
3. Arginine to glycine substitution
4. Deficiency of factor V

Correct answer: 2. Factor V becomes resistant to cleavage by protein C

Explanation: Factor V Leiden mutation is hypercoagulable disorder characterized by deep venous thrombosis and pulmonary thromboembolism. Factor V becomes resistant to cleavage by protein C. It occurs due to arginine to glutamate substitution. Factor V deficiency is known as Para hemophilia.